Angio-fibromas are seen in?
1. MEN 1
2. MEN 2
3. MEN 3
4. MEN 4

Correct answer: 1. MEN 1

Explanation: - Cutaneous tumours are common in MEN1 and can be easily overlooked due to their subtle appearance. - The cutaneous tumours include: Angiofibromas Collagenoma Lipomas